Which of the following is not seen in Dermatomyositis:
1. Gottrens papules
2. Helitrope rash
3. Mechanics hand
4. Salmon Rash

Correct answer: 4. Salmon Rash

Explanation: Salmon Rash